The number of doses recommended for oral Ty21a typhoid vaccine is:
1. 14
2. 5
3. 3
4. 1

Correct answer: 3. 3

Explanation: The Ty21a vaccine is licensed for use in individuals > 5 years. A three dose regimen is recommended. Vaccine is administered on alternate days: 0n days 1, 3 and 5. Ref: Park 21st edition, page 215.